Micturating cystourethrogram is not used in:
1. Renal tumours
2. Hydronephrosis
3. Urinary obstruction
4. Recurrent UTI

Correct answer: 1. Renal tumours

Explanation: Ans. Renal tumours